American society of anesthesiologists' physical status classification system, P2 is a is a patient who
1. Is healthy
2. With mild systemic disease
3. With severe systemic disease
4. None of the above

Correct answer: 2. With mild systemic disease